Precocious puberty is seen with which ovarian tumour :
1. Dermoid
2. Gynandroblastoma
3. Granulosa cell tumour
4. Arrhenoblastoma

Correct answer: 3. Granulosa cell tumour

Explanation: Granulosa cell tumour